Efavirenz is used for treatment of HIV infections. It acts
1. As protease inhibitor
2. As reverse transcriptase inhibitor
3. As integrase inhibitor
4. By inhibiting the HIV entry into the cell

Correct answer: 2. As reverse transcriptase inhibitor